40 yr old with koilonychias, iron deficiency & dysphagia, diagnosis is ?
1. Plummer Vinson syndrome
2. Achalasia cardia
3. 7ES
4. None

Correct answer: 1. Plummer Vinson syndrome

Explanation: Ans. is 'a' i.e., Plummer Vinson syndrome Plummer-Vinson syndrome Plummer-Vinson syndrome, also known as Brown-Kelly-Paterson syndrome or sederopenic dysphagia, seen in middle aged edentulous women. The plummer Vinsion Paterson Brown Kelly Syndrome is characterized by : - Dysphagia Chronic iron deficiency anemia Atrophic oral mucosa and glossitis Brittle, spoon-shaped fingernails (Koilonychia) The cause of dysphagia is usually a cervical esophageal web, but abnormal pharyngeal and esophageal motility may play a role. The syndrome characterstically occurs in middle aged edentulous (without teeth) women. It is a premalignant lesion. Approximately 10% of patient develop squamous cell Ca of esophagus, oral cavity or the hypopharynx. As iron-deficiency anemia is a common finding, it is also known as sideropenic dysphagia. Carcinoma develops in post-cricoid region.